Adder – head appearance on voiding cystourethrogram in bladder is feature of –
1. Horse shoe kidney
2. VUR
3. Ureterocele
4. Carcinoma of bladder

Correct answer: 3. Ureterocele